Absorption of which of the following drug increases with food intake ?
1. Tetracycline
2. Diazepam
3. Griseofulvin
4. Ampicilin

Correct answer: 3. Griseofulvin